Most common soft tissue tumor in a child:
1. Rhabdomyosarcoma
2. Histiocytoma
3. Fibrosarcoma
4. Liposarcoma

Correct answer: 1. Rhabdomyosarcoma

Explanation: (a) Rhabdomyosarcoma- Rhabdomyosarcoma, the most common childhood soft-tissue sarcoma, is often located in the head and neck (40%) and in the trunk and extremities (25%).